Cherry red spot on retina is seen in A/E
1. CRAO
2. CRVO
3. Nieman-pick diseases
4. Tay-sach's disease

Correct answer: 2. CRVO

Explanation: B i.e. CRVO